Which of these following statements is wrong about Tacrolimus?
1. It is one of the macrolide antibiotic
2. It can be safely administered with any nephrotoxic drug
3. Glucose intolerance is a well known side effect
4. It is used as prophylaxis for transplant rejection

Correct answer: 2. It can be safely administered with any nephrotoxic drug

Explanation: The side effects of Tacrolimus includes, nephro and hepato toxicity. It can also cause hypertension, tremors, seizure, diabetes mellitus and blurred vision. It should be better avoided with other hepato and renal toxicity drugs. Ref: Manzoor M. Khan (2008), Chapter 4 "Immunesupressive Agents", In the book, "Immunopharmacology", Springer Publications, USA, Page 91 ; Katzung, 9th Edition, Pages 941, 942